A patient died and relatives complain that it is due to negligence of doctor. According to a recent Supreme Court judgement, doctor can be charged for Medical Negligence under section 304-A, only if:
1. If he is from corporate hospital
2. If negligence is from inadvertent error
3. Gross negligence
4. Res Ipsa Loquitor

Correct answer: 3. Gross negligence

Explanation: C i.e. Gross negligence A/t recent supreme court judgement, doctor can be charged for medical negligence under section 304-A IPC (ie criminal negligence), only if he shows gross lack of competence/ skills, gross inattention, or inaction or recklessness or wanton (gross) indifference to the patient's safety or gross negligenceQ